You are being asked to give your expert opinion as a toxicologist regarding an effective antidote for belladonna poisoning. Which of the following agents would you suggest?
1. Neostigmine
2. Physostigmine
3. Pilocarpine
4. Methacholine

Correct answer: 2. Physostigmine